In type-4 thyroplasty, vocal cord is
1. Medially displaced
2. Laterally displaced
3. Lengthened
4. Shortened

Correct answer: 3. Lengthened

Explanation: Type IV thyroplasty- This procedure is used to lengthen (tighten) the vocal cord and elevate the pitch. It converts male character of voice to female and has been used in gender transformation. It is also used when vocal cord is lax and bowing due to ageing process or trauma. Ref: PL Dhingra Textbook of Ear, Nose and Throat, Edition 6, page -302